Epithelial rests of Malassez are found in
1. Pulp
2. Gingiva
3. Periodontal Ligament
4. Alveolar mucosa

Correct answer: 3. Periodontal Ligament